Which of the following is a muscle relaxant
1. Scoline
2. Pentazocine
3. Hyoscin
4. Phenylephrine

Correct answer: 1. Scoline